Most dangerous particles causing pneumoconiosis are of size
1. A. 1-5 micron
2. B. <1 micron
3. C. 5-15 micron
4. D. 10-20 micron

Correct answer: 1. A. 1-5 micron

Explanation: In pneumoconiosis, the most dangerous particles range from 1-5 micron in diameter, because they may reach the terminal small airway and settle in there lining notes The solubility and cytotoxicity of particles ,modify the nature of pulmonary response